PDS is absorbed within -
1. 7 days
2. 21 days
3. 100 days
4. 225 days

Correct answer: 4. 225 days

Explanation: Ans. is 'd' i.e., 225 days PDS or Polydioxanone is an absorbable suture which is absorbed completely in 180 days.